MHC class - III genes encode
1. Complement component C3
2. Tumor necrosis factor
3. Interleukin-2
4. Beta-2 microglobulin

Correct answer: 2. Tumor necrosis factor

Explanation: Structure - Major histocompatibility complex, (HLA) complex MHC class III genes encode Complement components C2 and C4 Properdin factor B of alternate pathway TNF - alpha and beta Heat shock proteins Also known as "complement region"